Collar Button Ulcer is a feature of -
1. Crohn's Disease
2. Ischaemic Colitis
3. SigmoidVolvulus
4. Ulcerative colitis

Correct answer: 4. Ulcerative colitis

Explanation: Ans. is 'd' i.e., Ulcerative colitis o Repeat from previous sessions